Which of the following parts of the internal capsule are associated with acoustic radiation?
1. Genu
2. Anterior limb
3. Retrolentiform
4. Sublentiform

Correct answer: 4. Sublentiform

Explanation: Auditory (acoustic) radiation pass through sublentiform part.